C3 convertase acts on
1. C3
2. C4b2b
3. C4b
4. Lymphocytosis

Correct answer: 1. C3

Explanation: All 3 pathways of complement system lead to the formation of C3 convertase, which cleaves C3 into C3a and C3b.